Clavipectoral fascia is derived from which ligament ?
1. Coracoacromial
2. Coracoclavicular
3. Costoclavicular
4. Costocoracoid

Correct answer: 4. Costocoracoid

Explanation: Ans. is 'd' i.e., Costocoracoid